Sterilising/disinfecting agents include all, except:
1. Dry heat
2. Ethylene oxide
3. Ether
4. Alcohol

Correct answer: 3. Ether

Explanation: Sterilization is the process by which an article, surface or medium is freed of all living microorganisms either in vegetative or spore state.
Sterilization agents are :

Heat
Filtration
Ionizing radiations
Gases (ethylene oxide, formaldehyde gas)
Sterilant liquids

Disinfection means destruction or removal of all pathogenic organism, which are capable of producing the infection. Disinfecting agents are:

Alcohols (ethyl and isopropyl alcohol)
Dyes
Halogens (Iodine, chlorine)
Phenol derivatives (Hexachlorophene, Lysol, cresol)
Biguanides (Chlorhexidine)
Oxidising agents (KMnO4, H2O2)
Quarternary ammonium compounds (cetrimide)
Soaps
Acids
Aldehydes
Metallic salts

– Ether is used as anesthetic agent, not as disinfectant or sterilizing agent.